Horse shoe kidney is due to prevention of ascent by?
1. Superior mesenteric artery
2. Inferior mesenteric artery
3. Supernumerary arteries
4. Ureters

Correct answer: 2. Inferior mesenteric artery

Explanation: Horseshoe kidney: the lower poles of the two kidneys may be fused. The connecting isthmus may lie either in front of or behind, the aorta and inferior vena cava. Ahorse shoe kidney doesn't ascent higher than the level of inferior mesenteric artery as the latter prevent its higher ascent Ref: Human embryology Inderbir Singh Tenth edition Page 288